The floor of the femoral triangle is formed by all except -
1. Adductor longus
2. Psoas major
3. Pectineus
4. Sartorius

Correct answer: 4. Sartorius

Explanation: Floor of femoral triangle
Medial

   Adductor longus
   Pectineus

Lateral

   Psoas major
   Iliacus